All are serotonin recuptake inhibitor except:
1. Fluoxetine
2. Fluvoxamine
3. Paroxetine
4. Amoxapine

Correct answer: 4. Amoxapine

Explanation: Selective serotonin reuptake inhibitors (SSRis) Fluoxetine, Fluvoxamine, Paroxetine, Sertraline, Citalopram, Escitalopram Ref: K D Tripathi 8th edition